How much amount of energy is yielded by one gm of alcohol in the body?
1. 1 cal
2. 4 cal
3. 7 cal
4. 9 cal

Correct answer: 3. 7 cal

Explanation: Alcohol supplies about 7cal/gm of energy. Energy yield of macro-nutrients (Proximate principles): Nutrient Energy yield Carbohydrates 4 cal per gram (17 KJ) Proteins 4 cal per gram (17 KJ) Fats 9 cal per gram (37 KJ)